Median Incubation period means:-
1. Time taken for 50% cases to occur
2. Time between primary case and secondary case
3. Time between onset of infection and period of maximum infectivity
4. Median of several incubation periods

Correct answer: 1. Time taken for 50% cases to occur

Explanation: Median incubation period - Time taken for 50% of cases to occur. Incubation period - Time interval b/w entry of organism into body till appearance of 1st signs & symptoms. Serial Interval - Time interval b/w primary & secondary case. Generation time - time interval between entry of organism into body till its maximum infectivity. Latent period - Time interval b/w onset of disease till its first detection. It is corresponding term to incubation period for non-communicable diseases.